Which part of the renal system produces and secretes renin?
1. JG cells
2. Macula densa
3. Tubular cells
4. All of the above

Correct answer: 1. JG cells

Explanation: The renin is produced by the juxtaglomerular cells (JG cells). These epitheloid cells are located in the media of the afferent arterioles as they enter the glomeruli. Renin is also found in agranular lacis cells that are located in the junction between the afferent and efferent arterioles. This enzyme acts in concert with angiotensin-converting enzyme (ACE) to form angiotensin II. Ref: Barrett K.E., Barman S.M., Boitano S., Brooks H.L. (2012). Chapter 38. Regulation of Extracellular Fluid Composition & Volume. In K.E. Barrett, S.M. Barman, S. Boitano, H.L. Brooks (Eds), Ganong's Review of Medical Physiology, 24e.